A patient presents with LVH and pulmonary complications. ECG, shows left axis detion. Most likely diagnosis is:
1. TOF
2. Tricuspid atresia
3. TAPVC
4. VSD

Correct answer: 2. Tricuspid atresia

Explanation: Congenital absence of tricuspid valve is tricuspid atresia. Right ventricle is hypoplastic. Systemic venous blood from Rt Atrium -> ASD/patent foramen ovale -> Lt atrium -> Lt ventricle -> Aoa and through muscular VSD blood also enters Rt ventricle and pulmonary aery. Ref: Kliegman, Behrman, Jenson, Stanton (2008), Chapter 430.4, "Tricuspid Atresia", In the book, "NELSON TEXTBOOK OF PEDIATRICS", Volume 2, 18th Edition, New Delhi, Pages 1913-14 ; O P Ghai Essential Peadiatrics, 6th Edition, Page 410